Incubation period of Mumps is
1. 7 days
2. 18 days
3. 10 days
4. 14 days

Correct answer: 2. 18 days